Which of the following anticancer drugs acts by hypomethylation ?
1. Gemcitabine
2. 5–FU
3. Decitabine
4. Homoharringtonine

Correct answer: 3. Decitabine